Slow relaxation of tendon reflexes may be a manifestation of:
1. Hyperthyroidism
2. Hypothyroidism
3. Hyperparathyroidism
4. Hypoparathyroidism

Correct answer: 2. Hypothyroidism

Explanation: Ans. B i.e. Hypothyroidism Hypothyroidism Features: - Carpal tunnel syndrome, - Subnormal body temperature, - Increased sleep, - Cold intolerance TSH level: Increased Drugs associated with hypothyroidism: - Lithium, - Amiodarone etc. MC cause of congenital hypothyroidism: Thyroid agenesis Treatment of childhood hypothyroidism: Levothyroxine